False regarding type A personality -
1. Hostile
2. Time pressure
3. Competitiveness
4. Mood fluctuations

Correct answer: 4. Mood fluctuations

Explanation: Type 'A' behavior is expressed in three major symptoms; (1) Time urgency (time pressure), (2) Free-floating hostility, (3) Competitiveness.